Commonest site for carcinoma of tongue is:
1. Lateral margin
2. Tip of tongue
3. Posterior 1/3
4. Ventral surface

Correct answer: 1. Lateral margin